Riehl's melanosis mainly invloves ?
1. Face and Neck
2. Trunk
3. Extremities
4. Palms only

Correct answer: 1. Face and Neck

Explanation: A. i.e. Face & Neck